For elimination of measles, vaccine Coverage should be (in successive brith cohart) -
1. >70%
2. > 80%
3. >90%
4. > 95%

Correct answer: 4. > 95%

Explanation: Ans. is 'd' i.e., > 95% o WHO's measles elimination strategy comprises a three part vaccination strategy, i.e.:-i) Catch-up - One-time, nationwide vaccination campaign targeting usually all children aged 9 months to 14 years regardless of history of measles disease or vaccination status.ii) Keep-up - Routine services aimed at vaccinating more than 95% of each successive birth cohort.iii) Follow-up - Subsequent nationwide vaccination campaign conducted every 2-4 years targeting usually all children bom after catch-up campaign.